Co-efficient of thermal expansion is highest for:
1. Amalgam
2. Silicate cement
3. Gold alloy
4. Acrylic resin

Correct answer: 4. Acrylic resin